Recombinant human insulin is made by -
1. CDNA from any eukaryote cell
2. Genome of any eukaryote
3. CDNA of pancreatic cell
4. Genome of pancreatic cell

Correct answer: 3. CDNA of pancreatic cell

Explanation: Ans is option 3- CDNA of pancreatic cell. Ref Harrison 19 /2402,2411